In a patient with carcinoma breast stage T4b, as per TNM classification, is defined by all of the following except
1. Nipple retraction
2. Skin ulcer over the swelling
3. Dermal edema
4. Satellite nodules

Correct answer: 1. Nipple retraction

Explanation: Ans. a. Nipple retraction